Insulin resistance is seen in all, except-
1. Werner's syndrome
2. Addison's disease
3. Ataxia telengiectasia
4. Lipodystrophy

Correct answer: 2. Addison's disease

Explanation: Ans is option 2 - Addison's disease Insulin resistance or diabetes mellitus occurs in Cushing's syndrome and not in Addison's disease. Insulin resistance is seen in - - - Obesity, lipodystrophic states, ataxia telengiectasia, werner's syndrome,rabson manden hall syndrome, alstrom syndrome, pineal hyperplasia syndrome, leprechaunism, type A syndrome, type B syndrome. Ref Harrison 16/2158,2153